Endemic Typhus is caused by:
1. R. Prowazaki
2. R. Typhi
3. R. Ricketssiae
4. R. Akari

Correct answer: 2. R. Typhi

Explanation: R. Typhi